True about ASHA ( accredited social health activist) is
1. Mental health worker
2. Involved in minimum need program
3. Deployed 1\/1000 population
4. To replace Anganwadi worker in ICDS program

Correct answer: 3. Deployed 1\/1000 population

Explanation: ASHA is a cadre created under National Rural Health Mission. ASHA must be a resident of village Women in age group 25 -45 years with formal education upto eighth class, having communication skills and leadership qualities. The general norm of selection is one ASHA per 1000 population. Ref: Park's textbook of preventive and social medicine.K Park. Edition 23.Pg no: 449